pH of Sabouraud's dextrose agar is adjusted to
1. 2-Jan
2. 4-Feb
3. 6-Apr
4. 8-Jun

Correct answer: 3. 6-Apr

Explanation: Sabouraud's dextrose agar (SDA), contains glucose and modified peptone, supports the growth of fungi, and restricts the growth of bacteria.The pH of SDA is 5.6Jawetz 27e pg: 663